Adolescence starts at the age of:
1. 7 years
2. 10 years
3. 14 years
4. 17 years

Correct answer: 2. 10 years

Explanation: Ans. B.10 yearsAdolescence is a stage of transition from childhood to adolescence. The age group 10 - 19 years is considered as the period of adolescence.